A 40 year old patient, a known case of cirrhosis develops acute episode of GI bleed .Initial therapy given for 6 hours. Which of the following procedure is useful:
1. Nasogastric aspiration
2. Urgent endoscopy
3. Sedation
4. Ultrasound

Correct answer: 2. Urgent endoscopy

Explanation: Ans. is 'b' Urgent Endoscopy algorithm for managing acute upper g.i. bleeding :Acute upper G.I bleeding Resuscitative measures